50% burns in 70 kg female with inhale burn injury_________ Parkland formula in first 8 hours is
1. 625 ml/hr
2. 732 ml/hr
3. 875 ml/hr
4. 1000 ml/hr

Correct answer: 3. 875 ml/hr

Explanation: (C) 875 ml/hr > Perhaps the simplest and most widely used formula is the Parkland formula. This calculates the fluid to be replaced in the first 24 hours by the following formula: Total percentage body surface area 'weight (kg) *4 = volume (ml) Half this volume is given in the first 8 hours, and the second half is given in the subsequent 16 hours. In the given patient %burns=50%, weight = 70kg.Therefore total vol. of fluid = 50*70*4 = 14000ml. Total fluid transfused in first 8hrs = 14000/2 = 7000ml =875ml/hr.FormulaCrystalloidColloidFree waterParkland4 ml/kg per% TBSANoneNoneBrooke1.5 ml/kg % TBSA0.5 ml/KG TBSA2 lit.Galrestan (pediatric)500 ml.m2 burned +1500 ml/m2NonNone